In congenital dystrophic epidermolysis bullosa defect is seen in:
1. Laminin 4
2. Collagen type 7
3. Collagen 4
4. Collagen 3

Correct answer: 2. Collagen type 7

Explanation: B. i.e. Collagen 7